Surest sign of salpingitis is
1. Edema of tubes
2. Enlargement of tubes
3. Seropurelent discharge from the part of the tube
4. Hyperaemic tubes

Correct answer: 3. Seropurelent discharge from the part of the tube

Explanation: [Cl (Seropuralent discharge from the part of tubes) (419-S) (166-Gynae -Dutta 5th)Acute salpingitis, the fallopian tube is swollen, oedematous, and hyperaemic with visible dilated vessels on the peritoneal surface. Some degree of serous exudation is seen around the fallopian tubes.* The sure sign of salpingitis is the discharge of seropurulent fluid from the fimbrial end of the tubes, without which the diagnosis cannot be justified at laparotomy, as the peritoneal surface may be inflamed in pelvic peritonitis due to any other cause.